Best investigation in acute cholecystitis is:
1. Technetium scan
2. HIDA scan
3. Pipida scan
4. Plain X-ray abdomen

Correct answer: 2. HIDA scan

Explanation: Ans. HIDA scan